All of the following can be used to treat heroin dependence except:
1. Disulfiram
2. Buprenorphine
3. Clonidine
4. Lofexidine

Correct answer: 1. Disulfiram

Explanation: Ref: Goodman and Gilman 12th/660-661 *Disulfiram is used for alcohol de-addiction and not for opioid. *Methadone or Buprenorphine are used to prevent withdrawal symptoms. *Alpha 2 Agonists like clonidine and lofexidine are used to treat sympathetic withdrawal symptoms of opioid addiction.